Pseudomonas is which type of bacteria -
1. Anaerobic
2. Microaerophilic
3. Strict aerobe
4. Obligate anaerobe

Correct answer: 3. Strict aerobe